Inferior oblique muscle is weakened most by which procedure
1. Disinsertion
2. Recession
3. Myotomy
4. Anteriorization

Correct answer: 4. Anteriorization

Explanation: Weakened most by anteriorization.